Which of the following is NOT an alpha-adrenoceptor agonist?
1. Clonidine
2. Methyldopa
3. Guanabenz
4. Isoxsuprine

Correct answer: 4. Isoxsuprine

Explanation: Clonidine, apraclonidine, brimonidine are selective alpha 2 agonists. Guanfacine and guanabenz are central alpha 2 agonists. Isoxsuprine is a selective beta-2- receptor agonist used to relax uterus. From medical pharmacology Padmaja 4th edition page no 101